A dog trainer presented with recurrent fever and weight loss since few days. Liver and spleen have enlarged. Blood investigations shows eosinophilia. Visceral larva migrans is suspected. Causative organism is:
1. Ascariasis
2. Toxocara canis
3. Schistosomiasis
4. Loa Loa

Correct answer: 2. Toxocara canis

Explanation: Toxocara canis is the major cause of visceral larva migrans. The definitive host for T. canis is the dog. Humans ingest soil containing the eggs, which hatch into larvae in the small intestine. The larvae migrate to many organs, especially the liver, brain, and eyes. Characteristic symptoms of visceral larva migrans include fever, malaise, anorexia and weight loss, cough, wheezing, and rashes. Hepatosplenomegaly is common. These features are often accompanied by extraordinary peripheral eosinophilia, which may approach 90%. Ref: Levinson W. (2012). Chapter 56. Nematodes. In W. Levinson (Ed), Review of Medical Microbiology & Immunology, 12e.